A metastatic carcinoma in the brain of an adult, most often comes from a primary in the:
1. Stomach
2. Ovary
3. Oral cavity
4. Lung

Correct answer: 4. Lung

Explanation: Metastatic carcinoma in the brain of an adult, most often comes from a primary in the Lung. The five most common primary sites are lung, breast, skin (melanoma), kidney, and gastrointestinal tract, accounting for about 80% of all metastases.